Jejunal biopsy is diagnostic in:
1. Giardiasis
2. Tropical sprue
3. Whipple's disease
4. Radiation enteritis

Correct answer: 3. Whipple's disease

Explanation: Per-oral jejunal biopsy is used in the diagnosis of malabsorption syndromes: Celiac sprue Amyloidosis Whipple's disease Lymphoma Abetalipoproteinemia Scleroderma. Malabsorption Syndrome Jejunal biopsy findings Non-tropical sprue Blunting or absence of the villi, Substitution of cuboidal for columnar surface cells, Infiltration of the lamina propria with lymphocytes and plasma cells. Amyloidosis Deposition of amyloid in the lamina propria and around blood vessels. Whipple's disease Villi of the intestinal mucosa are thickened and have bulbous tips, Laminae propria contain foamy histiocytes and lipid deposits Lymphoma Mucosal lesions may be identical to those seen in spure Lamina propria -lymphocytic cellular infiltrations Abeta-lipoproteinemia Numerous vacuoles of fat are found in the epithelial cells. Scleroderma Collagen deposition around Brunner s glands